All the heart valves are open during which stage of cardiac cycle:
1. Systolic ejection
2. Isovolumetric relaxation
3. Isovolumetric contraction
4. None of the above

Correct answer: 4. None of the above